Which of the following screening methods is used under RNTCP?
1. Active
2. Passive
3. Mass
4. All of the above

Correct answer: 2. Passive

Explanation: Under RNTCP, active case finding is not pursued. Case finding is passive. Patients presenting themselves with symptoms suggesting tuberculosis are screened with two sputum smear examinations. Ref: Park 21st edition, page 381.